What is the most common reason of a mid Vesicovaginal Fistula?
1. Radiation injury
2. Cervical cancer
3. Obstructed labour
4. Forceps delivery

Correct answer: 3. Obstructed labour

Explanation: Most Common fistula in India is obstetric fistula because of obstructed labor in mid vesicovaginal area. Forceps injury and vaginal hysterectomy causes high vesicovaginal fistula. Radiation injuries causes low vesicovaginal fistula.